Neostigmine differs from Pilocarpine in having effects on
1. Bowel motility
2. Heart rate
3. Salivary glands
4. Skeletal muscle

Correct answer: 4. Skeletal muscle

Explanation: Pilocarpine is a muscarinic receptor agonist so it doesn't have effects on skeletal muscle (NM). Neostigmine, on the other hand, has indirect actions on both muscarinic and nicotinic receptors.Ref: Katzung Pharmacology; 13th edition